Number of vascular segments present in kidney are
1. 5
2. 7
3. 9
4. 11

Correct answer: 1. 5

Explanation: Five vascular segments of kidney were seen based on the branching pattern of the renal artery by angiography and corrosion cast techniques. The renalartery was divided into anterior and posterior branches.The origins of segmental arteries were variable. image Ref - eahslab.om